Inter cellular IgG deposition in epidermis is seen in:
1. Pemphigus
2. Sub corneal pustular dermatosis
3. Bullus pemphigoid
4. Dermatitis Herpetiformis

Correct answer: 1. Pemphigus

Explanation: A. i.e. Pemphigus